All of the following factor increase the risk of amino glycoside renal toxicity except -
1. Elderly person
2. Hypokalemia
3. Simultaneous use with penicillin
4. Aminoglycoside administration in recent past

Correct answer: 3. Simultaneous use with penicillin

Explanation: Ans. is 'c' i.e., Simultaneous use with penicillin Nephrotoxicitv of aminoglycosides is potentiated by Advanced age, liver disease, diabetes mellitus, septic shock. Drugs - Amphotericin B, cyclosporine, vancomycin, ACE inhibitors, cisplatin. Longer course of therapy. Furosemide potentiates nephrotoxicity by causing volume depletion and hypokalemia.